Ohngren's classification is used for -
1. Maxillary' carcinoma
2. Mandibular carcinoma
3. Buccal carcinoma
4. Tongue carcinoma

Correct answer: 1. Maxillary' carcinoma

Explanation: Ans. is 'a' i.e., Maxillary carcinoma